A patient presents to ER after RTA, what is the best way to differentiate cardiac tamponade from Tension Pneumothorax?
1. Presence of Breath Sounds
2. Raised JVP
3. Tracheal Shift
4. Increased Heart Rate

Correct answer: 1. Presence of Breath Sounds

Explanation: Ans. (a) Presence of Breath SoundsRef: ATLS Guidelines 10th Edition Page 69* Tension pneumothorax, particularly on the left side, can mimic same line cardiac tamponade.* Because of the similarity in their signs like muffled heart sounds, Raised JVP and Dilated neck veins, tension pneumothorax can initially be confused with cardiac tamponade.* The presence of hyperresonance on percussion indicates tension pneumothorax, whereas the presence of bilateral breath sounds indicates cardiac tamponade.